Which of the following statement is true about the anterior fontanelle?
1. Size of anterior fontanelle is about 2.5 mm x 2.5 mm
2. It normally closes at birth
3. It must be measured across the borders
4. Early closure is seen in rickets

Correct answer: 3. It must be measured across the borders

Explanation: Size of anterior fontanelle is 2.5 cm x 2.5 cm. It closes by 18 months. It must be measured across the borders. Delayed closure is seen in hypothyroidism, rickets, trisomy syndromes, intrauterine infections, hypophosphatasia and osteogenesis imperfecta. Ref: Cloherty, 8th edition, pg no 103; Dutta Obstetrics, 8th edition, pg no 95